Which of the following is the least common site of atherosclerotic lesions
1. Aortic bifurcation
2. Pulmonary arterial trunk
3. Common carotid artery
4. Middle cerebral artery

Correct answer: 2. Pulmonary arterial trunk

Explanation: Atherosclerosis is an intima-based lesion composed of a fibrous cap and an atheromatous (literally, "gruel-like") core; the constituents of the plaque include smooth muscle cells, ECMs, inflammatory cells, lipids, and necrotic debris. The importance of hemodynamic factors in atherogenesis is illustrated by the observation that plaques tend to occur at ostia of exiting vessels, at branch points, and along the posterior wall of the abdominal aorta, where there is turbulent blood flow. In vitro studies further demonstrate that nonturbulent laminar flow leads to the induction of endothelial genes whose products protect against atherosclerosis. (Robbins Basic Pathology,9th edition,pg no.338)